Compared to plasma, the CSF has a higher concentration of:
1. Ca++
2. Na+
3. Chloride
4. Glucose

Correct answer: 3. Chloride

Explanation: Substance CSF concentration CSF: plasma ratio Na+ K+ Ca++ Chloride Mg++ Bicarbonate Protein Glucose 147 meq/L 2.9 meq/L 2.3 meq/L 113 meq/L 2.2 meq/L 25.1 meq/L 20 mg% 64 mg% 0.98 0.62 0.49 1.14 1.39 1.01 0.003 0.64